A 40 year old male is admitted with acute inferior wall myocardial infarction, half an hour later BP is 80/50 mmhg and heart rate is 40/mt with sinus rhythm. The most appropriate step in the management of this patient would be -
1. Admission of normal saline 300 ml over 15 minutes
2. Immediate insertion of temporary pacemaker
3. Intravenous adminstration of atropine sulpate
4. Intravenous adminstration of isoprenaline 50 m/minute

Correct answer: 3. Intravenous adminstration of atropine sulpate